A child is presenting with vomiting and abdominal pain after 5 hours of eating some food. The most likely causative organism
1. Bacillus cereus
2. C. perfringens
3. Cl. Botulinum
4. V. cholerae

Correct answer: 1. Bacillus cereus

Explanation: → Food poisoning presenting within 6 hours is seen:

Staph aureus and
B. cereus.

→ Cl. Botulinum causes constipation (not diarrhea) and the incubation period is about 18-24 hours.
→ V. cholerare has incubation period > 16 hours.